The triad of diabetes, gallstones, and steatorrhea is associated with which one of the following?
1. Gastrinomas
2. Somatostatinomas
3. VIPomas
4. Glucagonomas

Correct answer: 2. Somatostatinomas

Explanation: Somatostatinomas Somatostatinomas are associated with the clinical triad of diabetes, steatorrhea, and gallstones. Gastrinomas, which cause Zollinger-Ellison syndrome, are associated with recurrent peptic ulcer disease, diarrhea, and multiple endocrine neoplasia, type I (MEN-I) syndrome in 20% of patients. VIPoma (pancreatic cholera, Verner-Morrison syndrome, and the watery diarrhea, hypokalemia and achlorhydria syndrome) is a non-a, non-beta islet cell tumor that secretes vasoactive intestinal peptide (VIP), leading to watery diarrhea. Glucagonomas are characterized by a syndrome of diabetes mellitus, weight loss, anemia, and a rash (migratory necrolytic erythema). Insulinomas are characterized by high insulin levels in the presence of hypoglycemia.